All except are the possible outcomes/ course of ADHD-
1. Schizophrenia
2. Alcoholism
3. Mood Disorder
4. Antisocial behavior

Correct answer: 1. Schizophrenia

Explanation: Course of ADHD is variable. Symptoms have been shown to persist into adolescence in 60 to 85% of cases, and into adult life in approx 60% of cases. The remaining may remit at puberty or in early adulthood. Most patients with the disorder are vulnerable to Antisocial behaviour, Substance use disorder and Mood disorder. Ref: Synopsis of Psychiatry, 11e, pg 1174.